LeFo's fracture would include all of the following, except:
1. Maxilla
2. Mandible
3. Zygoma
4. Nasal bones

Correct answer: 2. Mandible

Explanation: Ans. Mandible